Which of the following statements about an amalgam tooth/cavity preparation is true?
1. The enamel cavosurface margin angle must be 90 degrees.
2. The cavosurface margin should provide for a 90- degree amalgam margin.
3. All prepared walls should converge externally.
4. Retention form for Class Vs can be placed at the DEJ.

Correct answer: 2. The cavosurface margin should provide for a 90- degree amalgam margin.

Explanation: Although the amalgam margin must be 90 degrees, the enamel margin may not be 90 degrees, especially on the occlusal surface. Most walls converge occlusally, but many Class V amalgam preparations have walls that diverge externally. No retention form should be placed at the DEJ; otherwise, the adjacent enamel will be undermined and subject to fracture.